All are true about cefuroxime Except :
1. Inhibit cell wall synthesis
2. Third generation cephalosporin
3. Some acquired resistance with penicillin
4. More active against gram negative organisms

Correct answer: 2. Third generation cephalosporin